Which of the following is included in definition of Nephrotic syndrome -a)  Microalbuminuriab)  Massive Proteinuriac) Microscopic haematuriad) Oedemae) Hyperlipidemia
1. bde
2. ade
3. ace
4. bce

Correct answer: 1. bde

Explanation: Nephrotic syndrome 

Nephrotic syndrome is a group of disease having different pathogenesis and characterized by -


Proteinuria (> 3.5 gm/day)                                                                                                               
Hypoalbuminemia       
Edema       
Hyperlipidemia
Lipiduria → Lipid casts       
Hypercoagulability